Ruston bodies are resent in
1. Apical periodontal cyst
2. Infected dentigerous cyst
3. Gingival cyst of neonate
4. All of the above

Correct answer: 4. All of the above

Explanation: Ruston bodies are present in 

Apical periodontal cyst
Infected dentigerous cyst
Gingival cysts of neonate